All of the following result in loss of corneal sensations except:
1. Acute congestive glaucoma
2. Dendritic ulcer
3. Absolute glaucoma
4. Exposure keratitis

Correct answer: 4. Exposure keratitis

Explanation: Ans. Exposure keratitis